Acetylcholine is secreted in eyes by:
1. Bipolar cells
2. Horizontal cells
3. Ganglion cells
4. Amacrine cells

Correct answer: 4. Amacrine cells

Explanation: ANSWER: (D) Amacrine cellsREF: http://wrebvision.med.utah.edu/NT.htmlIndirect repeat from June 2008Neurotransmitters in the retina:Glutamate is the neurotransmitter of the neurons of the vertical pathways through the retina. All photoreceptor types, rods and cones, use the excitatory amino acid glutamate to transmit signals to the next order neuron in the chainGlutamate is also considered to be the neurotransmitter of all bipolar cells and most ganglion cells in the vertebrate retinaGABA occurs in many different varieties of amacrine cells, and in one or more classes of horizontal cell in most vertebrate retinasGlycine, accounts for most of the small-field types of amarine cell.Dopamine is found in one or more types of amacrine cell in the mammalian retinaThe classic fast excitatory neurotransmitter of the peripheral nervous system, acetylcholine (ACh), is found in a mirror symmetric pair of amacrine cells in the vertebrate retina. These ACh containing amacrine cells are common to almost all vertebrate retinas and have been described morphologically in human retina too (Hutchins and Hollyfield, 1987; Kolb et al., 1992)Neurotransmitters of different Amacrine cells:NeurotransmitterType of Amacrine cellGABAA2, A10, A13, A17, A19, A20, A22GlycineA3, A4, A8, AllAcetylcholine"Starburst" a-type. b-typeDopamineCA-typel, CA-tvpe 2SerotoninA17